Slit lamp examination helps in examination of-
1. Anterior 2/3rd of choroid
2. Anterior l/3rd of choroid
3. Posterior l/3rd of choroid
4. Posterior capsule

Correct answer: 4. Posterior capsule

Explanation: Ans. is 'd' i.e., Posterior capsule o Slit-lamp bimicroscopy is very useful in the diagnosis of eye diseases,o It should routinely be performed in almost all diseases of the eye.o Following structures are examined -Eyelids and lashesConjunctivaCorneaAnterior chamberIrisLens : Anterior capsule, cortex, nucleus, posterior capsularAnterior vitreous